"SAFE" strategy for control of trachoma; 'S'-stands for:
1. Safety
2. Solutions
3. Surgery
4. Side-effects

Correct answer: 3. Surgery

Explanation: Ans. C: Surgery Surgery to correct advanced stages of the disease Antibiotics to treat infection in individuals. Facial cleanliness to reduce transmission of trachoma. Environmental improvement through increased access to clean water and improved sanitation.